Modified Young's operation is done for:
1. Atrophic rhinitis
2. Allergic rhinitis
3. Acute sinusitis
4. Chronic sinusitis

Correct answer: 1. Atrophic rhinitis

Explanation: Ans: A (Atrophic rhinitis) Ref: Diseases of the Ear Nose and Throat by PL Dhingra. 5th edn. 2010 page 170Explantation:Young's OperationIt is done as a treatment of atrophic rhinitisIt involves closure of the nasal cavity affected with atrophic rhinitis by creating mucocutaneous flaps.These flaps are sutured together in two layers: first the mucosal layer, then the skin layer.The nasal cavity is kept closed for a period of 9 months.Re-examination is done after 9 months - if the crusts have disappeared, a revision surgery is performed and the nasal cavity is reopened.The theory behind this procedure is that the closed nasal cavity has time to heal.